What is trench fever:
1. Q-fever
2. 5-days fever
3. Boutonneuse fever
4. Indian tick typhus

Correct answer: 2. 5-days fever

Explanation: Ans. is. 'b' i. e., 5-days fever